Which of the following is not a phase I Reaction:
1. Oxidation
2. Reduction
3. Hydrolysis
4. Conjugation

Correct answer: 4. Conjugation

Explanation: D i.e. Conjugation